Ulceration of the vulva is commonly seen in all except
1. Bacterial vaginosis
2. Syphilis
3. Chancroid
4. Behcet's disease

Correct answer: 1. Bacterial vaginosis

Explanation: Ans. is a, i.e. Bacterial vaginosisRef: Dutta Gynae 6th/ed, p262Vulval ulcersVulval ulcers are predominantly due to sexually transmitted diseases. Rarely, it may be due to non-specific causes.Malignant ulcer is also rare. The various etiological factors related to vulval ulcers are given in the below Table.Ulcers of the VulvaSTD relatedIdiopathicTuberculosisMalignancySystemic disease related or dermatoses* Syphilis* Herpes genitalis* Chancroid* Granuloma inguinale* Lymphogran-uloma venereumBehget's diseaseAphthous ulcersLipschutz ulcersTubercularPrimay* Squamous cell carcinoma* Malignant melanoma* Basal cell carcinomaSecondary* Leukemia* Choriocarcinoma* Lupus erythematosus* Crohn's disease* Lichen planus* Lichen sclerosus* Sjogren's syndromeNote: Lipschutz ulcer: The lesion affects mainly the labia minora and introitus. In acute state, there may be constitutional upset with lymphadenopathy. The causative agent may be Epstein-Barr virus. Treatment is with antiseptic lotions and ointment.